Stellate Reticulum First appears in:
1. Advanced Bell Stage.
2. Early Bell Stage.
3. Bus Stage.
4. Cap Stage.

Correct answer: 4. Cap Stage.